The antibiotic which can be given safely in a pregnant women is :
1. Ciprofloxacin
2. Cefuroxime
3. Metronidazole
4. Chloramphenicol

Correct answer: 2. Cefuroxime